Penile ulcer is painful in:
1. Syphilis
2. LGV
3. Donovanosis
4. Chancroid

Correct answer: 4. Chancroid

Explanation: Ans. is. 'd' i. e., Chancroid